Bulge sign in knee joint is seen after how much fluid accumulation-
1. 100 ml
2. 400 ml
3. 200 ml
4. < 30 ml

Correct answer: 4. < 30 ml

Explanation: BULGE TEST is a useful method of testing when there is very little fluid in the joint.Usually occurs in medial meniscal injury. It can detect even 30 ml of fluid accumulation. After squeezing any fluid out of the suprapatellar pouch,the medial compartment is emptied by pressing on the inner aspect of the joint; that hand is lifted away and the lateral side is sharply compressed-a distinct ripple is seen on the flattened medial surface as fluid is shunted across. REF:APLEY'S 9TH EDITION PAGE NO.550